Most common development cyst of jaws is
1. Periapical cyst
2. Eruption cyst
3. Calcifying odontogenic cyst
4. Dentigerous cyst

Correct answer: 4. Dentigerous cyst

Explanation: Most common odontogenic cyst is periapica/l Radicular cyst
Most common developmental odontogenic cyst is dentigerous cyst